Multiple hypoaesthetic, hypopigmented macules on right lateral forearm with numerous acid fast bacilli is indicative of –
1. Tuberculoid leprosy
2. Lepromatous leprosy
3. Indeterminate leprosy
4. Borderline leprosy

Correct answer: 4. Borderline leprosy

Explanation: Abundance of acidfast bacilli rules out indeterminate and Tuberculoid leprosy.
The choice is between lepromatous leprosy and borderline lepromatous leprosy.
Hypoaesthesia points towards borderline lepromatous as sensation are not lost in lepromatous leprosy.